Lucid interval is classically seen in -
1. Intracerebral haematoma
2. Acute subdural haematoma
3. Chronic subdural haematoma
4. Extradural haematoma

Correct answer: 4. Extradural haematoma